A 26-year-old woman has episodic hypertension with headache, diaphoresis, and palpitation. Which of the following diagnostic procedures would be most useful in evaluating the possibility that pheochromocytoma might be the cause of these findings?
1. Serum C-peptide
2. Serum calcitonin
3. Urinary vanillylmandelic acid
4. Urinary aldosterone

Correct answer: 3. Urinary vanillylmandelic acid

Explanation: - Urinary vanillylmandelic acid & metanephrines - metabolites of epinephrine & norepinephrine - markedly elevated in pheochromocytoma. - Serum C-peptide is elevated in insulinoma. - Serum calcitonin is sometimes used to screen for medullary carcinoma of the thyroid.